Histamine acts on?
1. G protein coupled receptors
2. Ligand gated ion channels
3. Enzyme linked receptors
4. Intracellular recepters

Correct answer: 1. G protein coupled receptors

Explanation: Ans. is'a' i.e., G protein coupled receptorsRef: Principles of medical physiology p.7911Histamine acts on G-protein coupled membrane recePtors : -